A 45 year old female presented with progressive lower limb weakness, spasticity, urinary hesitancy and mid dorsal (thoracic) extra axial, dural based, intradural enhancing mass in MRI. What is the diagnosis
1. Intradural lipoma
2. Meningioma
3. Dermoid cyst
4. Neuroepithelial cyst.

Correct answer: 2. Meningioma

Explanation: B i.e. Meningioma